Which is not included in NVBDCP ?
1. Dengue
2. Malaria
3. Japanese encephalitis
4. Plague

Correct answer: 4. Plague

Explanation: Ans. is 'd' i.e., Plague NVBDCP includes 6 vector borne diseases of public health importance in India : Malaria Kala-azar Dengue Japenese encephalitis Filaria Chikungunya fever